Coagulative necrosis is seen in
1. TB
2. Sarcoidosis
3. Gangrene
4. Cryptococcal infection

Correct answer: 3. Gangrene